Renal cell carcinoma false statement is -
1. Radiosensitive
2. Also known as Gravitz Tumor
3. Lessthan 4 cm is treated by partial nephrectomy
4. Arises from POT

Correct answer: 1. Radiosensitive

Explanation: Ans. is 'a' i.e., Radiosensitive o RCC or hypernephroma is one of the most radioresistant and chemaresistant tumors.o In men rapidly developing varicocele is rare but impressive sign for RCC occuring most often on the left side. It occurs because left gonadal vein is obstructed where it joins the left renal vein.o As already stated RCC originates in the cortex and tends to grow' out into perinephric tissue causing characteristic bulge or mass effect.About adenomaso Adenomas are the most common benign renal parenchymal lesions.o Despite the classification of adenoma as a benign tumor, no clinicalr histologic or immunohistochemical criteria can differentiate renal adenoma from renal carcinoma.o Smith's Urology writes about adenomas -"Previously, all renal tumors less than 3 cm were considered adenomas. However, even such small tumors can metastasize and are now classified as renal cell carcinoma. Adenomas of any size should be treated as a fortuitous finding representative of an early renal cancer, and the patient should be evaluated and treated appropriately ".